Discoloration of a denture constructed from cold cure acrylic resin is due to:
1. Absorption of oral fluids
2. PH changes in saliva
3. Leaching out of tertiary amines
4. Leaching out of excess monomer

Correct answer: 3. Leaching out of tertiary amines